Brown tumour is seen in-
1. Increased ptfcathyroid hormone
2. Increased thyroxine
3. Increase thyroid
4. Increased calcitonin

Correct answer: 1. Increased ptfcathyroid hormone

Explanation: Brown tumour is seen in hyperparathyroidism. Brown tumours are not actually tumours but are localised accumulations of hemorrhage and blood pigments and reactive masses of osteoclasts in a spindle shaped stroma. Ref:harrison